Which is not true about carbuncle?
1. Infective gangrene of subcutaneous tissue
2. Caused by staphylococcus
3. Diabetics are more prone
4. Caused by streptococcus

Correct answer: 4. Caused by streptococcus

Explanation: CARBUNCLE
Word meaning of carbuncle is charcoal.

It is an infective gangrene of skin and subcutaneous tissue
StaphyIococcs aureus is the main culprit.
Common site of occurrence is nape of the neck and back. Skin in this area is thick. Condition also can occur in shoulder, cheek. hand. forearm.
It is common in diabetics and after forty years of age.
It is common in males.